The gingival enlargements in leukemia mainly results from
1. as an inflammatory reaction to plaque
2. Leukemic cellular infiltration of gingiva
3. Hormonal disturbances
4. Developmental in origin

Correct answer: 2. Leukemic cellular infiltration of gingiva